“White Fingers” may result from which of the following occupational hazards
1. Heat
2. Cold
3. Vibration
4. UV Radiation

Correct answer: 3. Vibration

Explanation: After some months or years of exposure to vibrations (10 – 500 Hz), the fine blood vessels of fingers may become extremely sensitive to spasm, known as ‘White fingers’.
White fingers are a form of Raynaud’s Disease. Vibration white finger is the vascular component of ‘hand-arm vibration syndrome (HAVS)’.